A baby is said to be small for gestational age if its weight is < ------ percentile:
1. 5th
2. 10th
3. 25th
4. 50th

Correct answer: 2. 10th

Explanation: Ans. B. 10thDepending upon birth weight, babies can be classified asAGA (appropriate for gestational age): Birthweight between 10th percentile and 90th percentileSGA (Small for gestational age): Birthweight below 10th percentileLGA (large for gestational age): Birthweight above 90th percentile